True about d–TC is all except – a) Excreted unchanged by kidneyb) Causes hypotension by ganglion blocking actionc) Vagolytic actiond) Effects lasts for 2–3 hours
1. ab
2. cd
3. bd
4. ac

Correct answer: 2. cd

Explanation: D-tubocurarine has maximum ganglion blockade and histamine releasing propensity → Can cause hypotension.
It does not have vagolytic action (non-depolarizing blocker causing vagal block are Pancuronium, Gallamine and Rocuronium).
Duration of action is around 80 minutes.
d-TC is primarily excreted by kidney.